In tandembullet, the number of bullets fired is?
1. 1
2. 2
3. 3
4. 4

Correct answer: 2. 2

Explanation: The synopsis of forensic medicine & toxicology ; Dr k.s narayan reddy ; 28th edition ; pgbuller 35 : The number of bullet fired is 2 . when it is fired the second may go off carrying the lodged bullet with it & both bullet may enter the body through same entrance wound .